The commonest pancreatic tumour is -
1. Ductal adenocarcinoma
2. Cystadenoma
3. In sulinoma
4. Non islet cell tumour

Correct answer: 1. Ductal adenocarcinoma

Explanation: Ans. is 'a' i.e., Ductal adenocarcinoma Grainger writes - "Tumors both benign and malignant, may arise in the exocrine or endocrine tissue of the pancreas. The commonest of these is ductal adenocarcinoma."